Most common complication of mumps in children is -
1. Orchitis
2. Aseptic meningitis
3. Pancreatitis
4. Myocarditis

Correct answer: 2. Aseptic meningitis

Explanation: Mumps has been reported to cause about 10_15%of aseptic meningitis. Which is more severe REF:ANANTHANARYANAN TTEXTBOOKOF MICROBIOLOGY 9EDITION PGNO.508